who gave the concept of saftey needs in the heirachy of motivation
1. lorenz
2. seligman
3. freud
4. maslow

Correct answer: 4. maslow

Explanation: ABRAHAM MASLOW Gave the hierarchy of needs It is also called as hierarchy of motivation According to Maslow the basic needs should be met to move on to the next stage Once the basic step is attained, we work on to the higher stage The final stage is self-actualization, that is acceptance of your positives, negatives, short comings, doing things that you are good at and working with satisfaction. Ref, kaplon and sadock, synopsis of psychiatry, 11 th edition, pg no. 485